Keratin contains ?
1. Arginine
2. Histidine
3. Lysine
4. All

Correct answer: 4. All

Explanation: Ans. is 'd' i.e., All Amino acids required for specialized productsCreatine - Glycine + Arginine + MethionineGlutathione - Glycine + Cysteine + GlutamateCystine - Cysteine + CysteinePurine - Glycine + Aspartate + Glutamate + SerinePyrinidine - Asparatate + GlutamineCarnosine - 13-Alanine + histidineCholine - Formed with the help of methionine, glycine, serine, B6Nitric oxide - ArginineHeme - Glycinc, Succinyl CoACarnitine - Methionine + lysineKeratin - Histidine; arginine; lysine (1 : 12 : 4)Glutamate - Gamma-amino butyric acid (GABA)